Seen in lead poisoning:
1. Lymphoblasts
2. Normoblasts
3. Myeloblasts
4. Sideroblasts

Correct answer: 4. Sideroblasts

Explanation: Ans. Sideroblasts